Lung to lung metastasis is seen in
1. Adenocarcinoma of lung
2. Squamous cell carcinoma
3. Small cell carcinoma
4. Neuroendocrine tumor of lung

Correct answer: 1. Adenocarcinoma of lung